Myositis ossificans is most common around the.....joint:
1. Knee
2. Elbow
3. Wrist
4. Hip

Correct answer: 2. Elbow

Explanation: Ans: b (Elbow)Ref: Maheshwari Ortho, 3rd ed, p. 42